A body is brought to you for autopsy. On examination you find a bluish -purple lesion with well defined margin. On incising the wound, blood is seen in the vessels which is easily washed away to reveal pale subcutaneous tissue. What is the lesion described in the scenario?\r\nNote: The entire lesion was confined to to the dermis and is absent at areas under pressure.
1. Bruise
2. Hypostasis
3. Hematoma
4. Burn

Correct answer: 2. Hypostasis

Explanation: The lesion describe in this case is hypostasis. It occurs in the most dependant parts of the body. It is caused due to distension of blood vessels in the dermis. It is absent in areas under pressure. Ref: Textbook of Forensic Medicine and Toxicology by Narayan Reddy, Edition 21, Page - 154